EPI (Expanded Program on Immunization) by WHO does NOT include
1. Tuberculosis
2. Pertussis
3. Chickenpox
4. Measles

Correct answer: 3. Chickenpox

Explanation: (C) Chickenpox # WHO EPI Global Advisory Committee has strongly recommended BCG and Polio vaccine to be given at birth or at first contact in countries where tuberculosis and polio have not been controlled.> In all countries routine immunization with DPT and oral polio vaccine can be safely and effectively initiated at 6 weeks of age.> New vaccines are being added for the vaccination schedule E.g., hepatitis B, rubella and Japanese encephalitis vaccines are now included in several country's programmes.NATIONAL IMMUNIZATION SCHEDULEFor Infants* At birthBCG and OPV-O dose (for institutional deliveries)* At 6 weeksBCG (if not given at birth) DPT-1, OPV-1 and Hepatitis B-l* At 10 weeksDPT-2, OPV-2 and Hepatitis B-2* At 14 weeksDPT-3, OPV-3 and Hepatitis B-3* At 9 monthsMeasles* At 16-24months- DPT and OPV* At 5-6 yearsDT - the second dose of DT should be given at an interval of one month if there is no clear history or documented evidence of previous immunization with DPTAt 10 and at 16 yearsTetanus Toxoid -The second dose of TT vaccine should be given at an interval of one month if there is no clear history or documented evidence of previous immunization with DPT, DT or TT vaccinesFor Pregnant Women* Early in pregnancyTT-1 or Booster* One month afterTT-1-TT-2